All of the following will produce conductive hearing loss, Except -
1. Otosclerosis
2. Serous otitis media
3. Endolymphatics Hydrops
4. Suppurative otitis media

Correct answer: 3. Endolymphatics Hydrops